The commonest type of genital tuberculosis is -
1. Endosalpingitis
2. Exosalpingitis
3. Endometritis
4. Interstitial salpingitis

Correct answer: 1. Endosalpingitis